Superior Gluteal Nerve supplies ail except:
1. Gluteus Minimus
2. Gluteus Medius
3. Gluteus Maximus
4. Tensor Fascia Lata

Correct answer: 3. Gluteus Maximus

Explanation: Ans. C. Gluteus MaximusThe superior gluteal nerve arises from the sacral plexus in the pelvis and is formed by the dorsal branches of the ventral rami of L4, L5; S1. It enters the gluteal region through the greater sciatic notch above the piriformis in company with superior gluteal artery. Here it curves upward and forward, runs between the gluteus medius and the minimus, and supplies both of them. It then comes out by passing between the anterior borders of these muscles and supplies the tensor fasciae latae from its deep surface. It also provides an articular twig to the hip joint.